Quarantine period of cholera ?
1. 1 day
2. 2 days
3. 5 days
4. 10 days

Correct answer: 3. 5 days

Explanation: Ans. is 'c' i.e., 5 days